Which of the following is true regarding GLUT-5:
1. Present in brain
2. Present in Adipose tissue, skeletal muscle & skin
3. Insulin mediated transporter
4. Sodium independent transport

Correct answer: 4. Sodium independent transport

Explanation: Ans. (D) Sodium independent transportGLUT-5 is unusual in that it is the primary transporter for fructose (instead of glucose) in the small intestine & the testes.Has sodium independent facilitated diffusion mechanism.